Highly specific test for HIV antibodies is:
1. ELISA
2. Southern blot
3. Northern blot
4. Western blot

Correct answer: 4. Western blot

Explanation: Western blot